True about cervical incompetence is all except:
1. 1st trimester abortion
2. Hegar's dilator can be passed in non pregnant state
3. History of trauma, can preceede
4. 2nd trimester abortion

Correct answer: 1. 1st trimester abortion

Explanation: 1st trimester abortion